O2 dissociation curve shift to right in all except
1. Diabetic ketoacidosis
2. Blood transfusion
3. High altitude
4. Anaemia

Correct answer: 2. Blood transfusion